Metachromatic leukodystrophy is due to deficiency of -
1. Hexosaminidase A
2. Hexosaminidase B
3. Ceramidase
4. Arylsulfatase

Correct answer: 4. Arylsulfatase

Explanation: Ans. is 'd' i.e., Arylsulfatase Disease Enzy me deficiencyLipid accumulated Tay-sach diseaseHexosaminidase AGM2 gangliosideSandoff diseaseHexosaminidase BGM2 gangliosideNiemann-Pick diseaseSphingomyelinaseSphingomyelineFarber's diseaseCeramidaseAcyl-sphingosine (ceramide)Fabry's diseasea-galactosidaseGlobotrisylceramideKrabbe's diseaseb-galactosidase (Galactosy lcerami dase)Galactosy lcerami deGaucher's diseaseb-glucosidase (glucocerebrosidase)GlucosylceramideMetachromatic leukodystrophyAry lsulfatase A3-Sulfogalactosylceramide